Hyper triglyceridemia is not caused by-
1. Diabetes Mellitus
2. Obesity
3. Alcohol
4. Cigarette smoking

Correct answer: 4. Cigarette smoking